'Thumb print' sign seen in:
1. Candida
2. Aspergillus
3. Thrrmomyces
4. Epiglotis

Correct answer: 4. Epiglotis

Explanation: D. i.e. Epiglottitis: Thumbprint sign4 is a finding on lateral cervical spine radiograph that suggests dignosis of epiglottitisQ. This appearance is due to thickening of aryepiglottic folds, which causes it to appear more radiopaque, resembling the distal thumb. Differential Diagnosis of Thumb print sign in colon - Ulcerative colitisQ - Ischaemic colitisQ - Crohn's colitis - Pseudomembranous colitis.